Which of the following is used in anaphylactic shock
1. Isoprenaline
2. Adrenaline
3. Nor adrenaline
4. Terbutaline

Correct answer: 2. Adrenaline

Explanation: Ref: HL Sharma 3rd ed pg no:173 Adrenaline is the DOC for anaphylactic shock, which occurs due to release of histamine causing bronchoconstriction, laryngeal edema- resp failure and death adrenaline is the physiological antagonist for histamine